Suppositous child is ?
1. Child born out of wedlock
2. Child fictitiously claimed by a woman
3. Second born of a twin pregnancy
4. None

Correct answer: 2. Child fictitiously claimed by a woman

Explanation: Ans. is 'b' i.e., Child fictitiously claimed by a woman Suppositious child : Child presented by the mother to have been delivered by her, though she has not delivered, i.e. fictious claim of child.